The enzyme alpha amylase secreted by pancreas digest starch into which of the following major products:
1. Amylose, amylopectin, and maltose
2. Glucose, galactose, and fructose
3. Glucose, sucrose, and maltotriose
4. Limit dextrins, maltose, and maltotriose

Correct answer: 4. Limit dextrins, maltose, and maltotriose

Explanation: option d : alpha amylase secreted by pancreas digest starch into Limit dextrins, maltose, and maltotriose Hydrolysis of starch is catalyzed by salivary and pancreatic amylases, Sucrose, galactose and fructose are not the components of starch.